Posterior belly of digastric develops from:
1. 1st arch
2. 2nd arch
3. 3rd arch
4. 4th arch

Correct answer: 2. 2nd arch

Explanation: Ans: B (2nd arch) Ref. BDC, 4 ed, Vol. III p. 289Anterior belly of digastric is derived from the 1sl arch, while the posterior belly develops from the 2nd arch.ARCHNERVEMUSCLESSTRUCTURESFROM CARTILAGE1stMandibularMedial pterygoidLateral PterygoidMasseterTemporalisMylohyoidAnt. Belly of DigastricTensor tympaniTensor palate Merckel's cartilage||MalleusIncus2ndFacialMuscles of facialexpressionPlatysmaStylohyoidOccipitofrontalisPosterior belly of DigastricStapediusReichert's cartilage||StapesStyloid processStylohyoid ligamentSmaller horn of HyoidSup. part of body of Hyoid3rdGlossopharyngealStylopharyngeusGreater cornu of hyoidLower part of body of hyoid4thSuperior laryngeal nerveMuscles of pharynx and larynxCartilages of larynx6thRecurrent laryngeal nerveMuscles of pharynx and larynx